Which is not true of hypocalcaemia:
1. Can occur in hypoparathyroidism
2. Latent tetany is seen
3. Prolonged QT intervala
4. Inverse relation with Me+ levels

Correct answer: 4. Inverse relation with Me+ levels

Explanation: Answer is D (Inverse relation with Mg++ levels) : Magnesium levels usually bear a direct, not an inverse, relationship with serum Ca++ levels. Severe hypo-magnesemia is associated with hypocalcemia. Intracellular magnesium deficiency results in Hypocalcemia due to : - Impaired PTH secretion - Diminished responsiveness to PTH Hypoparathyroidism is a known cause of Hypocalcemia - Harrison QT interval on ECG is prolonged in Hypocalcemia and is shortened in hypercalcemia - Harrison Tetany is a recognized feature of hypocalcemia, but it may also occur with hypomagnesemia and respiratory alkalosis - Harrison